Chinese letter configuration is seen in -
1. Cltetani
2. Clperfringens
3. Strept salivarius
4. Cdiphtheriae

Correct answer: 4. Cdiphtheriae

Explanation: Ans. is ''d' i.e. Cdiphtheriae o C. diphtheriae is gram positive, non motile, nonsporing, noncapsulated,o Babes Ernest or volutin granulesAlso known as metachromatic granules or polar bodies.Composed of poly metaphosphate.Usually stained with Loefiflers methylene blue.Special stains for demonstration are Alberts, Neissers and Ponder's.o The bacilli are arranged in a characteristic fashion in smears, being at various angles to each other, resembling the letter V or L - Chinese letter or cuneiform arrangement.o Diphtheria can be controlled and prevented by immunization. Three method are available1) Active immunization2) Passive immunization3) Combined immunization---by diphtheria toxoidby antitoxin (antidiphtheric serum, ADS) toxoid in one arm and ADS in the other